Which of the following statement is true regarding RDA?
1. RDA is statistically defined as two standard deviation above the estimated average requirement (EAR)
2. RDA is statistically defined as equal to the estimated average requirement
3. RDA is statistically defined as equal to the adequate intake
4. RDA is defined as the recommended minimum requirement

Correct answer: 1. RDA is statistically defined as two standard deviation above the estimated average requirement (EAR)

Explanation: RDA (Recommended dietary allowance):Amount of nutrient estimated to meet the nutrient requirement of 97% to 98% of the healthy individual in an age and gender group.RDA = estimated average requirement +Two standard deviation above the estimated average requirement .